Pain is conducted by:
1. A-alpha fibers
2. A-beta fibers
3. A-gamma fibers
4. A-delta fibers

Correct answer: 4. A-delta fibers